A patient died and relatives complain that it is due to negligence of doctor. According to a recent Supreme court judgment, doctor can be charged for Medical Negligence under section 304-A, only if -
1. If he is from corporate hospital
2. If negligence if from inadvertent error
3. Gross negligence
4. Res Ipsa Loquitor

Correct answer: 3. Gross negligence

Explanation: Criminal negligence is dealt with 304-A IPC. It arises when a doctor shows the gross absence of care or skill resulting in serious injury or death of the patient. ELEMENTS OF NEGLIGENCE: Duty dereliction direct causation damage Dr.K.S.Narayan Reddys Synopsis of Forensic Medicine & Toxicology 29th edition Pg.20.